Acetylcholine is not used commercially because
1. Long duration of action
2. Costly
3. Rapidly destroyed in the body
4. Crosses blood brain barrier

Correct answer: 3. Rapidly destroyed in the body

Explanation: Refer katzung 11e p 97 Acetylcholine is a neurotransmitter, which is a chemical released by a nerve cell or neuron. ... Acetylcholinecauses muscles to contract, activates pain responses and regulates endocrine and REM sleep functions. Deficiencies in acetylcholine can lead to myasthenia gravis, which is characterized by muscle weakness Acetylcholine itself does not have therapeutic value as a drug for intravenous administration because of its multi-faceted action(non-selective) and rapid inactivation by cholinesterase.